Sphingomyelinase deficiency is characteristic of?
1. Fabry's disease
2. Krabbe's disease
3. Tay Sachs disease
4. Niemann Pick disease

Correct answer: 4. Niemann Pick disease

Explanation: Ans. D. Niemann Pick diseaseSphingomyelinase deficiency is seen in Niemann Pick disease. The enzymes deficient in the other disease are:a. Fabry disease - alpha galactosidaseb. Krabbe's disease - beta galactosidasec. Tay Sachs disease - Hexosaminidase A